Incisional wound on genital is seen commonly in:
1. Accidents
2. Suicides
3. Homicides
4. Postmortem artefact

Correct answer: 3. Homicides

Explanation: Homicides